Moderately increased risk of invasive Breast carcinoma is associated with which of the following benign lesions of the breast
1. Sclerosing adenosis
2. Atypical lobular hyperplasia
3. Apocrine metaplasia
4. Squammous metaplasia

Correct answer: 2. Atypical lobular hyperplasia

Explanation: Moderately increased risk (5x) : Atypical hyperplasia (ductal or lobular) Ref : Bailey and love 26thE pg806